Inferior oblique muscle of eye is supplied by
1. Oculomotor nerve
2. Abducent nerve
3. Trochlear nerve
4. Facial nerve

Correct answer: 1. Oculomotor nerve

Explanation: Ref BDC volume 3,6th edition pg 208NERVE SUPPLY:The superior oblique is supplied by trochlear nerveThe lateral rectus is supplied by abducent nerveThe superior rectus, medial rectus, inferior rectus and inferior oblique is supplied by occulomotor nerve